Calculus attaches to tooth structure by the following
ways except:
1. By means of an organic pellicle
2. Mechanical locking in surface irregularities
3. Close adaptation to undersurface depressions
4. Tags of calcium phosphate reacting chemically with enamel walls

Correct answer: 4. Tags of calcium phosphate reacting chemically with enamel walls